Level 3 New born care is -
1. Provides care for< 32 weeks & < 1500 gm and ones with critical illnesses
2. Includes full range of advanced subspecialities including cardiac surgery
3. Provides care for >32 weeks gestation and 500 gm
4. Can provide CPAP & ventilation for brief periods

Correct answer: 1. Provides care for< 32 weeks & < 1500 gm and ones with critical illnesses

Explanation: LEVEL OF NEWBORN CARE Level 1 Level 2 Level 3 Level 4 - Provide care to stable newborns of 35 to 36 weeks gestation - Look after babies born at or after 32 weeks of gestation - or weighing 1500 gm or more - provide CPAP and ventilation for brief periods - Provide care to babies less than 32 weeks - and 1500 gm birth weight - and ones with critical illness - includes full range of advanced sub-specialities including cardiac surgery.